Thinning of cornea occurs in:
1. Megalocornea
2. Bullous keratopathy
3. Endothelial dystrophy
4. Keratoconus

Correct answer: 4. Keratoconus

Explanation: Ans. Keratoconus